Trousseau's sign is seen in all the following except
1. Ca Lung
2. Ca Stomach
3. Ca Pancreas
4. Liposarcoma

Correct answer: 4. Liposarcoma

Explanation: Ans. is 'd' i.e., Liposarcoma